Anti ds DNA antibiodies are commonly seen in
1. SLE
2. Scleroderma
3. Dermatomyositis
4. Rheumatoid arthritis

Correct answer: 1. SLE

Explanation: Antibiodies to do DNA and the so called Smith antigens are virtually diagnostic of SLE .Anti ds-,DNA is common in SLE (40-60%,) ref Robbins 9/e p 128